Oocyte at the time of birth, is present in which of the following stage of meiosis?
1. Prophase I
2. Metaphase I
3. Anaphase I
4. Telophase I

Correct answer: 1. Prophase I

Explanation: At Time of birth oocyteis dormant in diplotene stage (resting stage during prophase I) Oocyte and Prenatal period. 3rd month end 5th month 7th month Oogonia are arranged in clusters surrounded by a layer of epithelial cells. Number of germ cells in ovary reaches maximum (7 million) Majority of oocyte degenerate, except few, surviving ones enter prophase I & are surrounded by follicular epithelial cells forming PRIMORDIAL FOLLICLE. Oogonia enters meiosis I before birth. Hence at birth, ovary contains primary oocytes arrested in the diplotene stage of prophase I which gets completed after puberty to form secondary oocyte. This secondary oocyte is arrested in metaphase-2 stage of meiosis II which is completed when fertilization occurs.